A 20 yrs adult presents with severe hypo plastic anemia. what is most effective treatment -
1. α - interferon
2. IL -2
3. ATG therapy
4. Bone marrow transplant

Correct answer: 4. Bone marrow transplant